Enzyme of Pathway common to Glu- coneogenesis
1. Pyruvate kinase
2. PFK
3. Hexokinase
4. Phosphoglycerate kinase

Correct answer: 4. Phosphoglycerate kinase

Explanation: Phosphoglycerate kinase (Pathway shown: Glycolysis)